Which of the following diseases have incubation period < 10 days -a)  Cholerab)  Influenzac)  Plagued)  Measlese) Rubella
1. ab
2. bc
3. abc
4. bcd

Correct answer: 3. abc